Lupus anticoagulants may cause all of the following except-
1. Recurrent abortion
2. False +ve VDRL results
3. Increase prothrombin time
4. Arterial thrombosis

Correct answer: 3. Increase prothrombin time